Which of the following will occur in an exclusively breastfed baby –
1. Jaundice
2. Scurvy
3. Tetany
4. Eczema

Correct answer: 1. Jaundice

Explanation: "13% of breast fed infants develop unconjugated hyperlbilirubinemia in the 1st week of life. The breast fed infants have higher, bilirubin levels than formula fed infants."
It is due to inhibitory substances (Pregananediol and free fatty acids) in breast milk that interfere with bilirubin conjugation.